DSM-IV TR classification of psychiatric disorders as proposed a multiple axis system for person with psychiatric illness. Medical disorders were classified in which axis?
1. I
2. II
3. III
4. IV

Correct answer: 3. III

Explanation: Ans. C. IIIThe DSM classification of psychiatric disorders as proposed by American Psychiatry Association* Analyze symptoms* Diagnostic features: Course of illness & Exclusion Criteria* Diagnostic reliability: Concordance between physicians' diagnoses of same patient* Lack of validity* Guidelines:- Precedence to conditions due to Substance Abuse &/or Medical problems- DO NOT give separate Diagnosis for minor disorderMain Axis:* Axis I: Majority of Diagnoses* Axis II: Disorders of Personality & Retardation* Axis III: Any other Medical Conditions (related or not)* Axis IV: Environmental &/or Psychosocial problems* Axis V: Global Assessment of Functioning (GAF)- Psychological, Social & Occupational functions- NOT Physical functions- Scored 1-100